Pacemaker regulating the rate of respiration:
1. Pneumotaxic center
2. Dorsal group of nucleus
3. Apneustic center
4. Pre Botzinger complex

Correct answer: 4. Pre Botzinger complex

Explanation: Pacemaker of respiration is Pre-Botzinger complex of neurons, which is a part of Ventral Respiratory Group(VRG) in medulla.